Over growth of skin structure at a localised region is
1. Hamartoma
2. Malignant tumor
3. Choristoma
4. Polyp

Correct answer: 1. Hamartoma

Explanation: Ref Robbins 8/e p262; 9/e p13 An overgrowth of a skin structure at a localised region is likely to be indigenous as well as benign , this is more likely to be a hamartoma .it is now considered as a neoplasm